Biondi Ring Tangles (BRT) are found in:
1. Choroidal plexus cells
2. Golgi type II cells
3. Basket cells
4. Piamatter

Correct answer: 1. Choroidal plexus cells

Explanation: A i.e. Choroid plexus Corticonuclear fibers pass through the genu of internal capsule.Biondi ring tangles are inclusion bodiesfound in choroidal plexus epitheliumCrossed occulomotor (111,9 nerve palsy i.e. IlIrd nerve plasy with crossed (contralateral) hemiplegia (Weber's syndrome)or with crossed (C/L) ataxiaQ (Claude syndrome) is found in occlusive syndromes of Posterior cerebral artery (P1 segment).